All the following statements regarding malignant potential of colorectal polyps are true except -
1. Polyps of the familial polyposis coli could invariably undergo malignant change.
2. Pseudopolyps of ulcerative colitis has high risk of malignancy.
3. Villous adenoma is associated with high risk of malignancy.
4. Juvenile polyps have little or no risk.

Correct answer: 2. Pseudopolyps of ulcerative colitis has high risk of malignancy.

Explanation: Pseudopolyps associated with inflammatory bowel disease (and amoebic & ischemic colitis) are not premalignant lesion - Schwartz 8/e p1086